19.The current treatment of choice for a large antrochonal polyp in a 10 year old:
1. Intranasal polypectomy
2. Caldwell luc operation
3. Fess
4. Laterl rhinotomy and excision

Correct answer: 3. Fess

Explanation: Treatment of choice for antrochoanal polyp in a child is functional endoscopic sinus surgery (FESS) or intra-nasal polypectomy. Caldwell-Luc operation is avoided. Ref.Dhingra 6/e p 175,7e pg 510